Lesch Nyhan syndrome is caused by:
1. HPRT complete deficiency
2. HPRT Partial deficiency
3. Purine nucleoside phosphorylase deficiency
4. PRP synthetase deficiency

Correct answer: 1. HPRT complete deficiency

Explanation: Ans. A. HPRT complete deficiencya. Mutations in the HPRT1 gene cause Lesch-Nyhan syndrome,b. Mutations in the HPRT1 gene cause a severe deficiency of the enzyme hypoxanthine phosphoribosyl transferase 1.c. This enzyme is responsible for recycling purines, a type of building block of DNA and its chemical cousin RNA.d. When this enzyme is lacking, the breakdown of purines results in abnormally high levels of uric acid in the body,e. It is unclear how a shortage of this enzyme causes the neurological and behavioral problems characteristic of Lesch- Nyhan syndrome.